Ebstein anomaly is associated with all of the following Except
1. Patent PDA
2. Massive heart on chest X-ray
3. VSD
4. Tall, broad P wave

Correct answer: 3. VSD

Explanation: EBSTEIN'S ANOMALY:Ebstein's anomaly is due to the abnormal downward displacement of tricuspid valve into the right ventricle.Tricuspid valve has 3 leaflets- anterior, posterior and septalAnterior leaflet of valve retains attached to valve ring and the other two leaflets displaced downwards.HEMODYNAMICS:The displaced tricuspid valve divides the right ventricle into two portions namely- thin atrialized ventricle and the small normal right ventricle.The effective output from the right side of the heart is decreased because of the combination of poorly functioning small right ventricle, tricuspid valve regurgitation and obstruction to right ventricular outflow due to the large sail-like anterior cuspBlood flows from right atrium to left atrium through patent foramen ovale or ASD results in RIGHT TO LEFT SHUNT-CYANOSISEbstein's anomaly is a ductal dependant(PDA) pulmonary flow cardiac disease.CLINICAL FEATURES:CyanosisParoxysmal attack of tachycardiaDyspnea on exertionSIGNS:Holosystolic murmur due to tricuspid regurgitationMassive cardiomegaly-BOX SHAPED CARDIOMEGALYECG- tall, broad P waves.